All the following are true about bronchopulmonary aspergillosis except
1. Central bronchiectasis
2. Pleural effusion
3. Asthma
4. Eosinophilia

Correct answer: 2. Pleural effusion

Explanation: The predominant clinical presentation of ABPA is an asthmatic phenotype, often accompanied by cough with production of brownish plugs of mucus. ABPA has also been well described as a complication of cystic fibrosis. A workup for ABPA may be beneficial in patients who carry a diagnosis of asthma but have proven refractory to usual therapy. ABPA is a distinct diag-nosis from simple asthma, characterized by prominent peripheral eosinophilia and elevated circulating levels of IgE (>417 IU/mL). Ref Harrison 19th edition pg 1686